In a patient, corneal scraping reveals narrow angled septate hyphae, which of the following is likely etiologic agent -
1. Mucor
2. Aspergillus
3. Histoplasma
4. Candida

Correct answer: 2. Aspergillus

Explanation: Option a: Incorrect- Mucor has aseptate hyphae and not septate
Option b: Correct-Aspergillus causes fungal keratitis and has narrow angled septate branching hyphae
Option c: Incorrect- Histoplasma does not cause fungal keratitis
Option d: Incorrect- Candida characteristically shows budding yeast-like cell morphology and also does not cause fungal keratitis.